Which of the following statements about tubercular osteomyelitis is not true?
1. It is a type of secondary osteomyelitis
2. Sequestrum is uncommon
3. Periosteal reaction is characteristic
4. Inflammation is minimal

Correct answer: 3. Periosteal reaction is characteristic

Explanation: Tuberculous infection of bone (osteomyelitis) is a form of secondary osteomyelitis caused by hematogenous dissemination from a primary infected visceral focus. The primary focus may be active or quiescent, apparent or latent, either in the lungs, lymph glands or other viscera.
Periosteal reaction is minimal and abscess does not show characteristic signs of inflammation. Sequestra are also very uncommon.